All are true regarding silver sulfadiazine used in burns except
1. Diffuses well through eschar
2. Causes wound maceration
3. Causes hypertrophic granulation
4. Does not cause pain

Correct answer: 1. Diffuses well through eschar

Explanation: Silver sulfadiazine diffuses poorly through the eschar. So it is used once eschar is separated and wound is clean.